Which of the following sites contains striated muscle that is not under voluntary control?
1. Bladder
2. Colon
3. Esophagus
4. Gallbladder

Correct answer: 3. Esophagus